Size of optic disc is?
1. 0.5 mm
2. 1.5 mm
3. 5.5 mm
4. 10.5 mm

Correct answer: 2. 1.5 mm

Explanation: Ans. (b) 1.5 mmRef.: Kanski 7thed chapter 10, Glaucoma: Science and Practice By John Morrison, Irvin Pollack p. 91